Erysipeloid is transmitted by –
1. Droplet
2. Feco–oral
3. Mosquito bite
4. Contact with animal

Correct answer: 4. Contact with animal

Explanation: Erysipeloid is caused by Erysipelothrix rhusiopathiae & Bacillus erisepeletus, is most often associated with fish & swine & causes cellulitis primarily in fishmongers & bone renderers.
It is transmitted by contact with animals.